Thyroid hormones in blood is transported by:
1. Albumin
2. Globulin
3. Prealbumin
4. All

Correct answer: 4. All

Explanation: A i.e. Albumin; B i.e. Globuin; C i.e. Prealbumin Thyroid hormones in blood is transported combined with plasma proteins. Normally 99.9% of T4 (&T3) in plasma is protein bound. Plasma protein which bind T4 & T3 are: i) AlbuminQ ii) Thyroxine binding prealbuminQ (TBPA) (new called transthyretin) iii) Thyroxine binding globulinQ (TBG): affinity to bind T4 is maximum. Protein Plasma Concentration (mg/ dl) Amount of Circulating Hormone bound ( %) T4 T3 TBGQ 2 67Q 46 TransthyretinQ (TBPA) 15 20 1 AlbuminQ 3500 13 53 - TransferrinQ : transport iron to plasmaQ. - CeruloplasminQ transport Cu to plasma.